In right handed individuals, the left cerebral hemisphere is more developed than the right cerebral hemisphere. The left cerebral hemisphere is mainly responsible for
1. Appreciation of music
2. Spatial orientation
3. Visual stimuli processing
4. Written and spoken language

Correct answer: 4. Written and spoken language

Explanation: Ans. d.Written and spoken language